All are true regarding muscular changes after death, except:
1. Rigor mortis occurs 1-2 h after the death
2. Cadaveric spasm involves involuntary muscles
3. Rigor mortis involves voluntary muscles
4. Rigor mortis involves involuntary muscles

Correct answer: 2. Cadaveric spasm involves involuntary muscles

Explanation: Ans. Cadaveric spasm involves involuntary muscles